Miners nystagmus is of which type
1. Rotatory
2. Lateral
3. Vertical
4. All of the above

Correct answer: 1. Rotatory

Explanation: Miner's nystagmus: It is a rapid rotatory type of nystagmus which occurs in coal mine workers. It probably results from fixation difficulties in the dim illumination. Ref:- A K KHURANA; pg num:-337